True about GBS is A/E
1. Demyelination
2. Prior viral infection
3. Prior bacterial infection
4. Predominant sensory involvement

Correct answer: 4. Predominant sensory involvement

Explanation: Harrison's principles of internal medicine 17th edition. *Approximately 70% of the cases of GBS occurs 1-3 weeks after an acute infectious process mostly with campylobacter jejuni CMV or EBV. This infections may result in demyelination.sensory involvement is not at all or rare